Which of the following facts are false regarding Barrett's esophagus?
1. Premalignant
2. More common in men
3. Established metaplasia doesn't reverse
4. None

Correct answer: 4. None

Explanation: Barrett esophagus is well recognized as a complication of gastroesophageal reflux disease (GERD). Prolonged exposure of the esophagus to the refluxate of GERD can erode the esophageal mucosa, promote inflammatory cell infiltrate, and ultimately cause epithelial necrosis. This chronic damage is believed to promote the replacement of healthy esophageal epithelium with the metaplastic columnar cells of Barrett esophagus. The condition occurs in a 2:1 male-to-female ratio. The most significant morbidity associated with Barrett esophagus is the development of adenocarcinoma in the esophagus. Frequent esophagoscopy is needed in people with Barrett's esophagus as it doesn't regress.